Cranial nerve most commonly involved in posterior communicating artery aneurysm is
1. Oculomotor
2. Facial
3. Optic
4. Trigeminal

Correct answer: 1. Oculomotor

Explanation: . *a third nerve palsy may be present due to local pressure from an aneurysm of the posterior communicating artery. Ref Harrison20th edition pg 2456